Cephalic index is used for determination of?
1. Sex
2. Race
3. Height
4. Stature

Correct answer: 2. Race

Explanation: Ans. (b) RaceRef: Parikh 6th ed. / 2.26, http://en.wikipedia.org/ wiki/Cephalic_index